A 6-year old child has an accident and had # elbow, after 4 years presented with tingling and numbness in the ulnar side of the finger, the fracture is -
1. Supracondylar # humerus
2. Lateral condylar # humerus
3. Olecranon #
4. Dislocation of elbow

Correct answer: 2. Lateral condylar # humerus

Explanation: This child has : -


Fracture around elbow
Tingling and numbness in ulnar nerve distribution after 4 years.


That means the child has developed tardy ulnar nerve palsy (late onset ulnar nerve palsy).
Now you must be thinking option 'a, b & d' all can cause tardy ulnar nerve palsy, then why the answer is '13'.
Here the age of the child, at the time of fracture, is 6 years.
Elbow dislocation occurs usually in adults and uncommon in children.
The age matches with both supracondylar fracture (5-7 years) and fracture lateral condyle (5-10 years).
However, Tardy ulnar nerve palsy is more common in malunited fracture lateral condyle (cubitus valgus) and occurs only occasionally in malunited supracondylar fracture (cubitus varus).
Therefore, answer of choice here is fracture lateral condyle humerus.